All of the following genes are implicated in colon carcinoma by classical pathway except
1. APC
2. K-ras
3. Beta-catenin
4. Mismatch repair genes

Correct answer: 4. Mismatch repair genes